Heart failure cells are seen in
1. Chronic venous congestion of liver
2. Chronic venous congestion of lung
3. Acute venous congestion of lung
4. Acute venous congestion of liver

Correct answer: 2. Chronic venous congestion of lung

Explanation: Ref Robbins 8/e p535, 7/e p122,9/e p116 Cut surfaces of hyperemic or congested tissues feel wet and typically ooze blood. On microscopic examination, acute pulmonary congestion is marked by blood-engorged alveolar capillaries and variable degrees of alveolar septal edema and intra-alveolar hemorrhage. In chronic pulmo- nary congestion, the septa become thickened and fibrotic, and the alveolar spaces contain numerous macrophages laden with hemosiderin ("heart failure cells") derived from phagocytosed red cells